During incision & drainage of ischiorectal abscess, which nerve is/are affected/injured :
1. Superior rectal nerve
2. Inferior rectal nerve
3. Superior gluteal nerve
4. Inferior gluteal nerve

Correct answer: 2. Inferior rectal nerve

Explanation: Ans: B (Inferior rectal nerve) Fig: Coronal section through the ischiorectal fossa"Ilioinguinal nerve, supply the skin of external genitalia & upper part of the medial side of the thigh"- BDC4th/Vol. II 196Ischioanal Fossa (formerly called ischiorectal fossa)It is somewhat prismatic in shape, with its base directed to the surface of the perineum, and its apex at the line of meeting of the obturator and anal fasciae.Contents of the Ischiorectal fossaIschiorectal pad of fatInferior rectal nerve and vessels.Posterior scrotal / posterior labial nerve and vessels.Pudendal canal and its contentsfpudendal nerve & internal pudendal vessel)Perineal branch of fourth sacral nerve.Perforating cutaneous branch ofS2, S3 nerve